Each primary health centre is meant to serve a population of:
1. 1000
2. 5000
3. 10000
4. 30000

Correct answer: 4. 30000

Explanation: Each PHC is meant to serve 30000 population in rural area in plains, while it serves 20000 population in hilly, tribal and backward areas. Ref: Park 22nd edition pg: 845.